Male pseudohermaphroditism is seen in –
1. 5–α reductase deficiency
2. 17 hydroxylase deficiency
3. Gonadal dysgenesis
4. All the above

Correct answer: 4. All the above

Explanation: Male pseudohermaphroditism

Genotype is XY
External genitalia are female

Causes of Male Pseudohermaphroditism
A. A defect in testicular differentiation

Deletion of the short arm Y chromosome 
XY pure gonadal dysgenesis. 
Mixed gonadal dysgenesis (MGD).
Dysgenetic male pseudohermaphroditism (DMP).  

B. A defect in testicular hormone synthesis
1. Leydig cell aplasia
2. Inborn error of testosterone biosynthesis

17-alpha hydroxylase deficiency        
17-20 lyase deficiency     
17-ketosteroid reductase deficiency.
3 beta-hydroxysteroid dehydrogenase deficiency.
20-22 desmolase deficiency

C. A defect in Mullerian inhibiting hormone action
D. A defect in androgen action

5-alpha reductase deficiency      
Testicular feminization syndrome       
Incomplete testicular feminization syndrome
Reifenstein syndrome
Undetermined etiology

True hermaphroditism

Both ovarian and testicular tissues are present either in the same (ovotestis) or opposite gonads.